Supra nuclear lesion of facial nerve affects?
1. Lower part of face
2. Upper part of face
3. Both upper and lower face
4. Spares both upper and lower face

Correct answer: 1. Lower part of face

Explanation: ANSWER: (A) Lower part of faceREF: Dhingra 4'" edition p. 103'Supranuclear (UMN- upper motor neuron) facial palsy spares upper face because it has bilateral representation'